Which of the following is most likely to result in a decreased rate of aldosterone release?
1. An increase in renin secretion by the kidney
2. A rise in serum potassium
3. A fall in blood pressure in the kidney
4. A decrease in IP3 in cells of the zona glomerulosa

Correct answer: 4. A decrease in IP3 in cells of the zona glomerulosa

Explanation: IP3 is one of the second messengers in the cells of the zona glomerulosa that signals for aldosterone release. A decrease in IP3 would result in less signal for aldosterone synthesis and release. The rate of aldosterone secretion would increase in response to an increase in renin release from the kidney.